Disease usually not seen in a country but brought from abroad is:
1. Endemic
2. Epidemic
3. Zoonotic
4. Exotic

Correct answer: 4. Exotic

Explanation: Ans. D: Exotic Exotic diseases are infectious diseases that normally do not occur in the region either because they have never been present there or because they were eradicated and then kept out by government control measures.